Vertibular Schwannoma, spinal cord astrocytoma, meningioma are seen in
1. Tuberous sclerosis
2. Neurofibromatosis - 1
3. Von Hippel - lindeu syndrome
4. Neurofibromatosis - 2

Correct answer: 4. Neurofibromatosis - 2

Explanation: Neurofibromatosis  - 2 :
Vertibular Schwannoma.
Meningioma.
Spinal cord ependymoma.
Spinal cord astrocytoma.